Occlusion of the LAD will lead to infarction of which area -
1. Posterior part of the interventricular septum
2. Anterior wall of the left ventricle
3. Lateral part of the heart
4. Inferior surface of right ventricle

Correct answer: 2. Anterior wall of the left ventricle

Explanation: Occlusion of proximal LAD can result in large anterior wall infarction. If it is distal LAD, then anteroapical or anteroseptal infarction can occur.